All of the following statements about non typhoid salmonella are true, except
1. Humans are the only reservoirs
2. Transmission is most commonly associated with eggs, poultry and undercooked meat
3. Common in immunocompromised individuals
4. Resistance to fluoroqinolones has emerged

Correct answer: 1. Humans are the only reservoirs

Explanation: Ans. is. 'a'i.e., Humans are the only reservoir SALMONELLOSIS . Salmonellosis is referred to the infection caused by bacteria of genus salmonella. . Salmonellosis is of two types? 1) Typhoidal Salmonellosis caused by S.typhi and paratyphi `A','B' and 'C' (has been explained, see previous explanations) 2) Non-typhoidal Salmonellosis Non-typhoidal Salmonellosis (NTS) It is the most common type of salmonellosis (more common than typhoidal salmonellosis) - Common NTS species are? i) S. enteritidis iii) S. heidelburg v) S. hadar ii) S. typhimurium iv) S. newpo Unlike typhoid salmonella (S. typhi and S. paratyphi), where only reservoir is humans; non-typhoidal salmonella can be acquired from multiple animal reservoirs. - Transmission is most commonly associated with? i) Animal food products especially eggs, poultry, undercooked meat ii) Dairy products iii) Fresh produce contaminated with animal waste - Predisposing factors for NTS are? i) Extremes of ages - Infants, elderly ii) Immunocompromised individals - HIV, infection of RE system (Baonllosis, malaria, schistosomiasis, histoplasmosis) Clinical manifestations of NTS may be? i) --> Most common clinical syndrome ii) Bacteremia and endovascular infection iii) Localized infection a) Intraabdominal Hepatic or spleenic abscess, cholecystitis b) CNS --p. Meningitis, ventriculitis, brain abscess, subdural empyema c) Pulmonary --0. Lung abscess, empyema, bronchopleural fistula d) Urinary and genital tract Cystitis, pyelonephritis, prostitis, ovarian and testicular abscess e) Musculoskeletal Osteomyelitis,septic arthritis, reactive arthritis Treatment - Because of increased resistance to conventional antibiotics such as ampicillin and TPM-SMX, extended spectrum cephalosporins and fluoroquinolones have emerged as the agents of choice. - For most of the infections, DOC is either Ceftriaxone or Ciprofloxacin. - Because of increased use of these agents resistance to fluoroqionolones and ceftriaxone has also emerged. i) Fluroquinolones --> due to point mutation in DNA gyrase gene gyr A and gyr B ii) Ceftliaxone due to horizontal transfer of plasmid coated AmpC 13- lactamase